After removal of a tooth that shows radiolucency in the periapical region
1. Nothing should be done
2. Irrigation and socket compression should be done
3. Irrigation, curettage and socket compression should be done
4. Vigorous curettage of the walls should be done

Correct answer: 3. Irrigation, curettage and socket compression should be done